Typical JVP finding in cardiac tamponade-
1. Absent 'Y' descent
2. Prominant 'a' wave
3. Absent 'a' wave
4. Prominent 'Y' wave

Correct answer: 1. Absent 'Y' descent